Among pre-malignant oral lesions
1. Leukoplakia should be proved by biopsy
2. Leukoplakia does not disappear even after cessation of smoking
3. Erythroplakia has a higher risk for malignancy than leukoplakia
4. Oral submucous fibrosis is seen in all parts of the world

Correct answer: 3. Erythroplakia has a higher risk for malignancy than leukoplakia